Vitrectomy approach is most commonly via -
1. Pars plana
2. Cornea
3. Equator of the eye
4. None

Correct answer: 1. Pars plana

Explanation: Ans. is 'a' i.e., Pars plana * Pars plana vitrectomy is the most common type of vitrectomy done in tackling various posterior segment disorders.* It was the first closed system type of vitrectomy.* Pars plana vitrectomy is appropriate whenever access to the posterior segment of the eye is necessary for treatment. Common indications include rhegmatogenous or tractional retinal detachment, vitreous hemorrhage, retained lens fragments after cataract surgery, endophthalmitis, epiretinal membrane, macular hole, vitreomacular traction, and intraocular foreign bodies.* The procedure may be contraindicated only if the eye has no light perception and if regaining any vision in the eye is impossible. Vitrectomy is contraindicated in the presence of suspected or active retinoblastoma or, in some cases, active choroidal melanoma because incision of the eye may be associated with systemic seeding.